Which surgical procedure is indicated after the
endodontic treatment is completed of a mandibular molar with periodontal and carious involvement of the bifurcation:
1. Hemisection
2. Fenestration
3. Root amputation
4. Apical curettage

Correct answer: 1. Hemisection